Position of limb in posterior dislocation of hip -
1. Flexion, abduction & external rotation
2. Flexion, adduction & internal rotation
3. Flexion, adduction & external rotation
4. Flexion, abduction & internal rotation

Correct answer: 2. Flexion, adduction & internal rotation

Explanation: Ans. is 'b' i.e., Flexion, adduction & internal rotation Hip conditionDeformitySynovitisArthritisPosterior dislocationAnterior dislocationFemoral neck fractureIntertrochantric fractureFlexion, abduction, external rotation, apparent lengtheningFlexion, adduction, internal rotation, true shorteningFlexion, adduction, internal rotation, apparent & true shorteningFlexion, abduction, external rotation, true lengtheningExternal rotation, later adduction & flexionMarked external rotation, later adduction & flexion